The purpose of Lactate dehydrogenase in anaerobic glycolysis is
1. Production of Lactate
2. Production of ATP
3. Replenishment of NAD
4. Replenishment of NADH

Correct answer: 3. Replenishment of NAD

Explanation: Replenishment of NAD is important because, it helps to sustain glycolysis in anaerobic conditions.